Spherocytosis of BBC's is a common feature in -
1. G-6P-D deficiency
2. Sickle cell anemia
3. CML
4. All

Correct answer: 1. G-6P-D deficiency

Explanation: Ans. is 'a' i.e., G-6P-D deficiency